Which is the shortest acting mydriatic?
1. Tropicamide
2. Atropine
3. Phenylephrine
4. Hyoscine

Correct answer: 1. Tropicamide

Explanation: Tropicamide is the quickest (20-40min) and shortest acting (3-6hours) mydriatic. Atropine is a potent mydriatic but its slow and has long lasting action. With it, pupil dilates in 30-40min but cycloplegia takes 1-3hours.